Narrowest part of the urethra is:
1. Prostatic urethra
2. Bulbar urethra
3. Penile urethra
4. Membranous urethra

Correct answer: 4. Membranous urethra

Explanation: Ans. D: Membranous urethra In men, the urethra is roughly 8 to 9 inches long and extends from the bladder neck to the end of the penis. The prostatic urethra is the widest part of the tube and passes through the prostate gland. It is made up of fibrous tissue, muscle fibers, and tiny glandular openings that connect to the prostate. The membranous urethra is. approximately three-quarters of an inch long and lies between the triangular ligaments of the pelvis. The spongy urethra is the longest part and extends through the penis to the glans (tip of the penis). Urethral orifice is narrowest followed by Membranous urethra.